Occipitomental x ray view of paranasal sinuses with open mouth is Known as
1. water's view
2. Caldwell view
3. Towne's view
4. Pierre's view

Correct answer: 4. Pierre's view

Explanation: ref : hazarika 4th ed